Most common paranasal sinus affected by Osteoma:
1. Frontal sinus
2. Ethmoid sinus
3. Maxillary sinus
4. Sphenoidal sinus

Correct answer: 1. Frontal sinus

Explanation: sequence of involvement:
Frontal>ethmoid>Maxillary>sphenoid.